Transplacental transmission is not seen in
1. HIV
2. Varicella
3. Hepatitis A
4. Hepatitis B

Correct answer: 3. Hepatitis A

Explanation: HEPATITIS A Causative agent Enterovirus 72 (Picorna Virus) Incubation period 15-45 days Period of infectivity 2 weeks before to 1 week after onset of jaundice Sex distribution Equal in both sexes Children: More infected but mild or subclinical Reservoir Human cases Modes of transmission Fecal oral (Most common) Parenteral Sexual Disinfectant Formalin UV rays Boiling for 5 min Autoclaving Ref: Park 25th edition Pgno : 230-235